Carrier state does not exist for -
1. Hepatitis B virus
2. Hepatitis A virus
3. Non A Non B Hepatitis
4. Delta agent

Correct answer: 2. Hepatitis A virus

Explanation: Recovery of Hepatitis is very slow,and also there is no carrier state REF:ANANTHANARAYANAN TEXT BOOK OF MICROBIOLOGY 9EDITION PGNO.541